Nihilistic ideas are seen in:
1. Depression
2. Schizophrenia
3. OCD
4. Anxiety disorders

Correct answer: 1. Depression

Explanation: Ans. Depression